The primary reason for the use of drug combination in the treatment of tuberculosis is to:
1. Ensure patient compliance with the drug regimen
2. Enhance activity against metabolically inactive mycobacteria
3. Delay or prevent the emergence of resistance
4. Provide prophylaxis against other bacterial infections

Correct answer: 3. Delay or prevent the emergence of resistance

Explanation: Many drugs are used together (multiple drug therapy; MDT) for treatment of tuberculosis. There are several reasons to use MDT in tuberculosis. The most important being to prevent the emergence of drug resistance. The other reasons are: -To make the person non-infectious quickly. -To decrease the treatment duration and thus improve patient compliance.